Best emergency sanitary measure to control cholera is -
1. Disinfection of stool
2. Mass vaccination
3. Provison of chlorinated water
4. Chemoprophylaxis

Correct answer: 3. Provison of chlorinated water

Explanation: In cholera, as an emergency measure, in urban areas, properly treated drinking water containing free residual chlorine should be made available to all families; this water should be stored in the household in narrow-mouthed, covered containers. Ref: PARK'S TEXTBOOK OF PREVENTIVE AND SOCIAL MEDICINE 23rd edition , Page 233